Double Bubble sign is seen with
1. Pyloric stenosis
2. Duodenal atresia
3. Ileal atresia
4. Esophageal atesia

Correct answer: 2. Duodenal atresia

Explanation: It's a radiological sign described in cases of duodenal obstructive. A plain abdominal X-ray reveals 2 foci of gas, one in the stomach and other in the duodenum = a sign of duodenal atresia Reference bailey and love's edition 5 th page no.1195